All except one are unfavourable signs in early Hodgkin's Lymphoma
1. Elevated ESR
2. Extranodal disease
3. Stage A
4. Four or more regions involved

Correct answer: 3. Stage A

Explanation: Unfavourable signs in early Hodgkin's Lymphoma:-

Large mediastinal mass
Extranodal disease
Elevated ESR
4 or more involved regions
Presence of B symptoms.